Iron is absorbed predominantly in the
1. Stomach
2. Duodenum
3. Ileum
4. Colon

Correct answer: 2. Duodenum

Explanation: Iron absorption occurs predominantly in the duodenum and upper jejunum ( Muir and Hopfer, 1985) (Figure 1). The mechanism of iron transport from the gut into the bloodstream remains a mystery despite intensive investigation and a few tantalizing hits. Ref: guyton and hall textbook of medical physiology 12 edition